Phage DNA becomes integrated with bacterial chromosome as prophage which codes new characteristics is referred to as
1. Transformation
2. Phage conversion
3. Conjugation
4. Transduction

Correct answer: 2. Phage conversion

Explanation: Transformation - acquires free DNA from the environment. Conjugation - Transfer between two bacteria by sex pilus. Transduction - DNA acquired by bacteria by virus and phage. Ref : Ananthanarayana textbook of Microbiology 9th edition Pgno : 59